Nysten's rule pertains to ?
1. Rigor mortis
2. Identification
3. Bullet injuries
4. Putrefaction

Correct answer: 1. Rigor mortis

Explanation: Ans. is 'a' i.e., Rigor mortis Rigor mortis It is defined as contraction, stiffening, shortenig and opacity of muscles after death. It occurs after molecular (cellular) death. In tropical countries (e.g. india), it begins 1-2 hours after death, takes further 2 hours to develop, and lasts for 18-36 hours in summer and 24-48 hours in winter. In temperate countries, it begins in 3-6 hours, takes further 2-3 hours to develop and lasts for 2-3 days. All muscles of body are involved, i.e. voluntary or involuntary. However, it does not start in all muscles simultaneously (nysten's rule). Involuntary muscles (heart) are involved first than voluntary muscles. Sequence of muscles involvement is as follows : Heart > upper eyelid > neck > jaw > face > chest > upper limb > abdomen > lower limb > finger and toes. It passes off in the same order in which it has appeared.